Tinea seen after inadvertent treatment with topical steroid is:
1. Tinea incognito
2. Vagabond disease
3. Tinea versicolor
4. Tinea capitis

Correct answer: 1. Tinea incognito

Explanation: Ans: a (Tinea incognito) Ref: Davidson, 20th ed, p. 1083Inadvertent topical steroid application leads to worsening of the signs (tinea incognito) Chronic infestation with louse results in a post inflammatory hyperpigmentation and thickening of the skin known as "vagabond disease".Tinea versicolorCaused by malazzesia furfur (mycelial stage) or Pityrosporum ovale (yeast form)KOH mount shows-sphagetti meat ball apperance.